Least common association with Morbid Obesity is:
1. Rheumatoid Arthritis
2. Diabetes Mellitius type II
3. Essential Hypertension
4. Large bowel cancers

Correct answer: 1. Rheumatoid Arthritis

Explanation: Rheumatoid Arthritis